MC cause of secondary amenorrhoea is:
1. Pregnancy
2. TB
3. Thyrotoxicosis
4. None of the above

Correct answer: 1. Pregnancy

Explanation: Ans. A i.e. Pregnancy